The enzymes secreted by endocrinal part of pancreas are all except:
1. Somatostatin
2. Chymotrypsin
3. Glucagon
4. Insulin

Correct answer: 2. Chymotrypsin

Explanation: B i.e. Chymotrypsin